In case of Gow-Gates technique the target area is
1. Neck of condyle
2. Head of the condyle
3. Medial side of the ramus
4. Lateral side of the condyle

Correct answer: 1. Neck of condyle